Ear ossicles articulate with each other through which type of joints?
1. Synostosis
2. Synovial
3. Synchondrosis
4. Syndesmosis

Correct answer: 2. Synovial

Explanation: Both the joints between the ear ossicles are synovial joints.
Incudomalleolar joint - Saddle joint
Incudostapedial joint - Ball and socket joint